Denominator of Literacy rate is
1. Total population
2. Total population ≥ 7 years of age
3. Total male population of ≥ 7 years of age
4. Number of school going children

Correct answer: 2. Total population ≥ 7 years of age